Milk is deficient in?
1. Iron and Vit C
2. Iron and Vit A
3. Phosphorus and Vit C
4. Phosphorus and Vit A

Correct answer: 1. Iron and Vit C

Explanation: a. Iron and Vit C(Ref: Nelson's 20/e p 286-290, Ghai 8/e p 150-161)About the options:IronIron content (1mg/L) in cow & breast milk makes it difficult to maintain body iron & meet RDA of infant (8-10mg). Breastfed infants absorb iron 2-3 times more efficiently than infants fed cow's milkVit CInfants consuming pasteurized or boiled animal milk are at significant risk of developing Vitamin C deficiencyPhosphorusCow's milk is rich in phosphate; So, an infant on a diet rich in cow's milk has chances of developing hypocalcemiaVit ABreast milk as well as cow's milk contains adequate amounts of Vit A to meet the needs of infantsHence, cow's milk is deficient in Iron & Vitamin C.Note: Breast milk contains adequate amounts of all vitamins except Vit D, Vit K & Vit B12 (in strictly vegan mothers).